Digoxin can accumulate to toxic levels in patients with-
1. Renal insufficiency
2. Chronic hepatitis
3. Advanced cirrhosis
4. Chronic pancreatitis

Correct answer: 1. Renal insufficiency

Explanation: Ans. is 'a' i.e., Renal insufficiency